Which is the most common mechanism of arrhythmia?
1. Re-entry
2. Early after depolarization
3. Late after depolarization
4. Automaticity

Correct answer: 1. Re-entry

Explanation: MC arrhythmia mechanism is re-entry. Re-entry Circulation of an activation wave around an inexcitable obstacle. It is d/t non-homogeneity in myocardial conduction and recovery properties. The presence of a unidirectional block with slow conduction to allow for retrograde recovery of the blocked myocardium allows the formation of a circuit Two classic examples of re-entry- VF due to acute myocardial ischemia Polymorphic VT in patients with ion channelopathies such as the Brugada syndrome, LQTS, or catecholaminergic polymorphic VT.